Which of the following statements regarding-Gamma-Release-Assays for diagnosis of Tuberculosis is true -
1. First Generation Quanti FERON-TB assay used ESAT-6
2. Second Generation Quanti FERON-TB (Gold) assay used ESAT-6 and CPF-10
3. These tests can distinguish between M. tuberculosis and M. bovis
4. None of the non-tuberculosis mycobacteria give a positive reaction with the test

Correct answer: 2. Second Generation Quanti FERON-TB (Gold) assay used ESAT-6 and CPF-10